Safe disposal of mercury is:
1. Collect carefully and recycle
2. Controlled combustion
3. Treatment with chemicals
4. Deep burial

Correct answer: 1. Collect carefully and recycle

Explanation: Ans is 'a' i.e. Collect carefully and recycle Repeat May 10Elemental mercury exhibits high toxicity via inhalation, skin absorption and ingestion.All mercury and mercury-containing items should be recycled. It should never be poured down a drain or sewer, flushed down a toilet, or thrown in the trash. As long as mercury is recycled, it will stay in the recycling loop, going into new products rather than into the environment.